In which type of poisonings is gastric lavage contraindicated ?
1. Organophosphorus poisoning
2. Sedative drug poisoning
3. Corrosive acid poisoning
4. Barium carbonate poisoning

Correct answer: 3. Corrosive acid poisoning